A 20 year old woman gives a history of sharp pain in the lower abdomen for 2-3 days every month approximately 2 weeks before the menses. The most probable etiology for her pain is:
1. Endometriosis
2. Dysmenorrhea
3. Pelvic tuberculosis
4. Mittelschmerz

Correct answer: 4. Mittelschmerz

Explanation: Midcycle pain or Ovulation pain is called Mittelschmerz . This is because of the blood, fluid and cellular debris which comes out of the ruptured ovarian follicle trickles to the pelvis and causes a mild peritoneal irritation and pain, often limited to that side of ovulation.